Somatic mutation of PTEN is seen in
1. Retinoblastoma
2. Osteosarcoma
3. Carcinoma breast
4. Endometrial carcinoma

Correct answer: 4. Endometrial carcinoma